The common site of melanoma on the orofacial skin is
1. Lower lip
2. Malar region
3. Forehead
4. Upper lip

Correct answer: 2. Malar region